A one year old child having leucocoria was detected to be having a unilateral, large retinoblastoma filling half the globe. Current therapy would involve:
1. Enucleation
2. Chemotherapy followed by local dyes
3. Direct Laser ablation using photo dynamic cryotherapy
4. Scleral radiotherapy followed by chemotherapy

Correct answer: 1. Enucleation

Explanation: A i.e. Enucleation